Rupture of berry aneurysm most commonly results in
1. Subarachnoid hemorrhage
2. Subdural hemorrhage
3. Extradural hemorrhage
4. Intra-parenchymal hemorrhage

Correct answer: 1. Subarachnoid hemorrhage

Explanation: Ans. is 'a' i.e., Subarachnoid hemorrhage Most common cause of subarachnoid hemorrhage Trauma Most common cause of spontaneoussubarachnoid hemorrhage Rupture of Berry aneurysm (or Saccular aneurysm) Also know Mycotic aneurysm ? Mycotic aneurysm is caused by a septic embolus that weakens the wall of the vessel in which it lodges.